Size of needle required for FNAC:
1. 16 gauge needle
2. 18 gauge needle
3. 20 gauge needle
4. 24 gauge needle

Correct answer: 4. 24 gauge needle

Explanation: 22-26 gauge needle is required for FNAC